Most common ocular involvement in sarcoidosis is
1. Iritis
2. Keratitis
3. Cataract
4. Glaucoma

Correct answer: 1. Iritis

Explanation: M/C - Iritis.